First branch of Facial nerve is:
1. Nerve to stapedius
2. Chorda tympani nerve
3. Greater petrosal nerve
4. Lesser petrosal nerve

Correct answer: 3. Greater petrosal nerve

Explanation: Ans. C. Greater petrosal nerveFacial nerve is the 7th cranial nerve. It is a mixed (i.e., motor and sensory) nerve, but predominantly it is motor. It is named facial nerve because it supplies the muscles of facial expression.Branchesa. Greater petrosal nerve--arises from the geniculate ganglion. It is the first branch of facial nerveb. Nerve to stapedius--arises from the vertical part of the facial nerve opposite the pyramidal eminence, runs forward through a short canal within it to reach the stapedius muscle to supply it.c. Chorda tympani nerve--arises from the vertical part of the facial nerve about 6 mm above the stylomastoid foramen.d. Posterior auricular nerve--supplies the occipital belly of occipitofrontal is.e. Nerve to the posterior belly of digastric--supplies the concerned muscle.f. Nerve to stylohyoid--supplies the concerned muscle.g. Five terminal branches (temporal, zygomatic, buccal, marginal, mandibular, and cervical)--supply the muscles of facial expression.